Alcholholic Hyaline Seen in alcoholic liver disease is composed of
1. Lipofuscin
2. Eosinophilic intracytoplasmic inclusions
3. Basophilic intracytoplasmic inclusions
4. Hemazoin

Correct answer: 2. Eosinophilic intracytoplasmic inclusions

Explanation: Refer Robbins page no 843